wAll of the following are Digastric muscle, except
1. Muscle fibers in the ligament of Treitz
2. Omohyoid
3. Occipitofrontalis
4. Sternocleidomastoid

Correct answer: 4. Sternocleidomastoid

Explanation: The digastric muscle has two bellies united by an intermediate tendon. ORIGIN- a.Anterior belly from digastric fossa of mandible. b.Posterior belly from mastoid notch of temporal bone. FIBRES- a. Anterior belly runs downwards and backward b.Posterior belly runs downwards and forwards INSERTION- Both heads meet at the intermediate tendon which perforated SH and is held by a fibrous pulley to the hyoid bone. NERVE SUPPLY- a.Anterior belly by nerve to mylohyoid b.Facial nerve ACTIONS- a. Depress mandible when mouth is opened widely or against resistance;it is secondary to lateral pterygoid b.Elevated hyoid bone Ref BDC volume 3,sixth edition pg 132